The major functional difference between DNA and RNA is
1. RNA contains ribose
2. DNA carries the information in all living organisms
3. DNA is localized in nucleus
4. RNA does not contain thymine

Correct answer: 2. DNA carries the information in all living organisms